Mitochondrial chromosomal abnormality leads to
1. Leber's hereditary optic neuropathy
2. Angelman syndrome
3. Prader villi syndrome
4. Myotonic dystrophy

Correct answer: 1. Leber's hereditary optic neuropathy

Explanation: Ref Robbins 8/e p171;9/e p172 Example of mitochondrial inheritance is leber's hereditary optic neuropathy.leigh's disease ,MELAS - Mitochondrial encephalopathy Lactic acid Stroke like syndrome Neuropathy , ataxia, retinitis, Kearns Sayre syndromes, chronic progressive external opthalmoplegia,Pearson syndrome M